Lipoprotein X is elevated in -
1. Primary biliary cirrhosis
2. Indian childhood cirrhosis
3. Hyper cholesterolemia
4. Alcoholic cirrhosis

Correct answer: 1. Primary biliary cirrhosis

Explanation: Lipoprotein x is an abnormal lipoprotein that is raised in conditions causing cholestasis.
Primary biliary cirrhosis is a cholestatic liver disease → So, lipoprotein X is elevated in PBC.

Primary biliary cirrhosis :-

Primary biliary cirrhosis is a chronic, progressive, and often fatal cholestatic liver disease characterized by


The destruction of intrahepatic bile ducts,
Portal inflammation and
Scarring and the eventual development of liver failure.


The primary feature of this disease is a nonsuppurative. inflammatory, destruction of medium sized intrahepatic ducts. 

Pathology

The main pathology of Primary biliary cirrhosis is obstruction of the intrahepatic biliary duct caused due to fibrosis.
Initially there is infiltration of the chronic inflammatory cells such as plasma cells and lymphocytes followed by fibrosis.
With time, the obstruction to intrahepatic bile flow leads to progressive secondary hepatic damage.
Over years to decades the parenchyma develops generalized cholestasis and relentless portal tract scarring and bridging fibrosis leads to cirrhosis.